Injury of axillary nerve results in:
1. Atrophy of deltoid muscle
2. Loss of overhead abduction
3. Loss of sensation of lower part of arm
4. All

Correct answer: 1. Atrophy of deltoid muscle

Explanation: A i.e. Atrophy of deltoid muscle